Drugs used in CHF are
1. Nesiritide
2. Digoxin
3. Spironolactone
4. All the above

Correct answer: 4. All the above

Explanation: Ref-KDT 6/e p502-507 The drugs used in congestive heart failure (CHF): Nesiritide Elastase Omapatrilat ACE